Ovarian fibroma develops from
1. Epithelium
2. Germ cells
3. Sex cord
4. Stroma

Correct answer: 4. Stroma

Explanation: Histologically fibroma has a cellular or myxomatous stroma which are scattered large signet ring cells. Ref: Shaw Gynecology 17 e pg 464.